Diaphragm develops from all except:
1. Septum transversum
2. Dorsal mesocardium
3. Pleuroperitoneal membrane
4. Cervical myotomes

Correct answer: 2. Dorsal mesocardium

Explanation: B i.e. Dorsal mesocardium Diaphragm develops from septum transversumQ (which forms central tendon of diaphragm), two pleuro-peritoneal membranesQ, dorsal mesentery of oesophagus (i.e. mesoesophagus not mesocardiumQ) and muscular ingrowth from somites at cervical segment 3 to 5 (C3-05) of the lateral body wall (cervical myototnes)QMn - "ST PM DMO and CM = ST Prime Minister, District Medical Officer & Chief Minister"